Factor associated with increased incidence for sudden infant death syndrome is –
1. High socioeconomic status
2. Female gender
3. Supine sleep positioning
4. Maternal smoking

Correct answer: 4. Maternal smoking